Which among the following is not a function of pneumotaxic centre?
1. Limitation of inspiration
2. Increase in the rate of breathing
3. Switching off the inspiratory ramp
4. Generating respiratory rhythm

Correct answer: 4. Generating respiratory rhythm

Explanation: Respiratory rhythm generation is a function of dorsal repsiratory group of neurons (and not pnemotaxic center) Pneumotaxic Center It is located dorsally in the nucleus parabrachialis of the upper pons and it transmits signals to the inspiratory area. Primary effect of this center is to control the switchoff point of the inspiratory ramp, thus controlling the duration of the filling phase of the lung cycle. Function of the pnemotaxic center is primarily to limit inspiration, which has a secondary effect of increasing the rate of breathing, because limitation of inspiration also shortens expiration and the entire period of each respiration. Ref: Guyton and Hall 13th edition Pgno: 540